All the following reactions are involved in generation of reactive oxygen species within neutrophils for killing intracellular bacteria except
1. Glutathione peroxidase
2. Superoxide dismutase reaction
3. Fenton's reaction
4. NADPH oxidase

Correct answer: 1. Glutathione peroxidase

Explanation: Glutathione peroxidase catalyzes the destruction of hydrogen peroxide. Fenton's reaction generates hydroxyl radical from H2O2 Superoxide dismutase generates H2O2 from superoxide NADPH oxidase reaction generates superoxide from oxygen Reference: Harpers illustrated biochemistry 30th edition